Isochromatic charts are used for:
1. Contrast sensitivity
2. Testing colour vision
3. Visual fields charting
4. Visual acuity testing

Correct answer: 2. Testing colour vision

Explanation: Ans. B: Testing colour vision Isochromatic charts/Japanese Ishihara charts is used for testing colour vision and it largely identifies red-green anomalies. The American Hardy-Rand-Ritler (H-R-R) test identifies blue-yellow anomalies.